In case of death in lock up, the inquest is held by
1. A police officer
2. Magistrate
3. Panchayat officer
4. District Attorney

Correct answer: 2. Magistrate

Explanation: B i.e. Magistrate